Spontaneous absorption of lenticular material is seen in-
1. Myotonic dystrophy
2. Hallermann Streiff syndrome
3. Aniridia
4. Persistent hyperplastic primary vitreous

Correct answer: 2. Hallermann Streiff syndrome

Explanation: Sometimes there may occur total or partial absorption of congenital cataract, leaving behind thin membranous cataract. Rarely there is complete disappearance of all the lens fibres and only a fine transparent lens capsule remains behind. Such a patient may be misdiagnosed as having congenital aphakia. This is associated with Hallermann-Streiff-Francois Synodrome.